All except one are tests for macular functions –
1. Laser interferometry
2. Two point discrimination
3. Maddox rod test
4. Retinal ERG Electroretinogram

Correct answer: 4. Retinal ERG Electroretinogram

Explanation: Macular function tests 

While evaluating the retinal function, some tests are used s
These tests are :

Simple macular function tests

Two-point discrimination test (Cardboard test)
Maddox rod test
Coloured light test
Modified photostress test
Entoptic view test
Amsler grid test

Other tests

Blue field entoptoscopy
Laser interferometry
Potential acuity meter
Flying corpuscle test